Wolffian duct structures do not develop in all except
1. Swyers syndrome
2. Testicular feminization syndrome
3. Incomplete AIS
4. Turners syndrome

Correct answer: 3. Incomplete AIS

Explanation: In incomplete Androgen insensitivity syndrome, there is little responsiveness to testosterone.
So Wolffian duct derivatives are present.